Which of the following is a metabolite of carisoprodol?
1. Doxylamine
2. Meprobromate
3. Dimethadione
4. Amphetamine

Correct answer: 2. Meprobromate

Explanation: Ans. (B) Meprobamate(Ref: Goodman and Gilman 11th/e p422)Meprobamate was used as a CNS depressant drug but is rarely indicated now due to its addictive properties. It is a metabolite of carisoprodol, which is used as a centrally acting skeletal muscle relaxant.